A 2 year old child presents with scattered lesions in the skull. Biopsy revealed Langerhans giant cells. The most commonly associated is marker with this condition will be
1. CD 1a
2. CD 57
3. CD 3
4. CD 68

Correct answer: 1. CD 1a

Explanation: The history is suggestive of langerhans cell histiocytosis( eosinophilic granuloma ).The tumour cells in addition to birbeck granules express HLA -DR, S- 100 and CD1a Reference : Robbins and Cotran Pathologic basis of disease.South Asia Edition volume 1.page no. 622